Nutrient and oxygen reach the chondrocytes across perichondrium by -
1. Capillaries
2. Diffusion
3. Along neurons
4. Active transport

Correct answer: 2. Diffusion

Explanation: Answer- B. Diffusionchondrocytes within the matrix must receive nutrients and oxygen by diffusion from vessels that lie outside the cartilage.